Criteria for a disease fit for screening including ?
1. It should be an important public health problem
2. Facilities should be available for confirmation
3. There should be sufficiently long time available
4. All of the above

Correct answer: 4. All of the above

Explanation: Ans. is 'd' i.e., All of the above